The thoracic duct receives tributaries from all of the following except?
1. Bilateral ascending lumbar trunk
2. Bilateral descending thoracic trunk
3. Left upper intercostal duct
4. Right bronchomediastinal lymphatic trunk

Correct answer: 4. Right bronchomediastinal lymphatic trunk

Explanation: Right bronchomediastinal lymphatic trunk.The thoracic duct is the largest lymphatic vessel in the body.It begins in the abdomen as a dilated sac, the cisterna chyli & ends at the root of neck,draining into the beginning of left brachiocephalic vein.It is about 45 cm long & has a beaded appearance because of presence of many valves in its lumenTributaries The thoracic duct receives lymph from roughly both halves of the body below the diaphragm & the left half above the diaphragm.In the thorax:Bilateral descending thoracic lymph trunks from intercostal lymph nodes of the lower six or seven intercostal spaces of both sidesBilateral ascending lumbar lymph trunks from the upper lateral aortic nodesUpper intercostal trunks draining the intercostal nodes in the upper five or six left intercostal spaces.Mediastinal trunks draining various nodal groups.At the root of neck:Left jugular trunkLeft subclavian trunkLeft bronchomediastinal lymph trunkThe right jugular, subclavian & bronchomediastinal trunks, which drain the right side of the head & neck, the right upper limb, and the right side of the thorax respectively may join to form the right lymphatic duct which opens into the beginning of the right brachiocephalic vein.